Characteristic feature of Rheumatic carditis is ?
1. Pericarditis
2. Endocarditis
3. Myocarditis
4. Pancarditis

Correct answer: 4. Pancarditis

Explanation: Ans. is 'd' i.e., Pancarditis During Acute Rheumatic fever, diffuse inflammation and Aschoff bodies may be found in any of the three layers of heart - pericardium, myocardium or endocardium - PANCARDITIS.